Common ocular manifestation in Trisomy 13 is :
1. Capillary hemangioma.
2. Bilateral microphthalmos.
3. Neurofibroma.
4. Dermoid Cyst.

Correct answer: 2. Bilateral microphthalmos.

Explanation: Ans. is 'b' i.e. Bilateral microphthalmos Abnormalities seen in trisomy 13 {Patau's syndrome)MicrophthalmiaMicrocephaly and intellectual disabilityCleft lip and palatePolydactylyCardiac defectsUmbilical herniaRenal defectsRocker bottom feet